Which is not done in Septoplasty -
1. Elective hypotension
2. Throat pack
3. Nasal preparation with 10% cocaine
4. None

Correct answer: 4. None

Explanation: Anaesthetic consideration for intranasal surgeries

Intranasal operations are septoplasty, polypectomy, rhinoplasty and FESS.
Either a laryngeal mask or a cuffed endotracheal tube may be used with a throat pack, depending on the anaesthetist's confidence, the surgeon, the amount of blood loss and the duration of surgery.
Topical nasal vasoconstriction is extremely useful and may be applied by the anaesthetist or surgeon. Commonly used vasoconstrictors include 5-10% cocaine, cocaine paste, xylometazoline or ephedrine drops or spray, Moffett's solution or dental cartridge injection of local anaesthetic (lidocaine) with epinephrine 1:80,000. Vasoconstriction by a block of sphenopalatine ganglion has also been described.
Surgery is easier with controlled hypotension, as bleeding is less. For the same reason, the head-up position is preferred.
After the surgery, when the throat pack is removed, pharyngeal suction should include an attempt to remove blood clots from behind the soft palate.
Nasal packs are likely to be placed and may stay in overnight.